Which of the following is an effect of dinitrophenol on oxidative phosphorylation?
1. Inhibition of cytochrome b
2. Blockade of both electron transport transport and ATP synthesis
3. Inhibition of ATP synthesis with normal electron transport
4. Inhibition of electron transport but not ATP synthesis

Correct answer: 3. Inhibition of ATP synthesis with normal electron transport

Explanation: Mechanism of Action of DNP as uncoupler Dinitrophenol (DNP) a potent uncoupler is amphipathic and increase the permeability of the lipoid inner mitochondrial membrane to protons (H+), thus reducing the electrochemical potential and short-circuiting the ATP synthase. In this way, oxidation can proceed without phosphorylation. Note: DNP was used for weight loss. But it was discontinued due to hyperthermia and other side effects. Inhibitors of electron transport chain and oxidative phosphorylationRef: MN Chatterjea Textbook of Medical Biochemistry, 8th Edition, Page no: 146